All of the following TCA cycle enzymes are located in the mitochondrial matrix, EXCEPT
1. Alpha-ketoglutarate dehydrogenase
2. Isocitrate dehydrogenase
3. Succinate dehydrogenase
4. Malate dehydrogenase

Correct answer: 3. Succinate dehydrogenase

Explanation: Ans. c)Succinate dehydrogenase * All the TCA cycle enzymes are present in the mitochondrial matrix except succinate dehydrogenase (complex II of ETC) * Succinate dehydrogenase is embedded in the inner mitochondrial membrane. NOTE: Complex I pumps 4 protons. Complex II doesn't pump any proton. Complex III pumps 4 protons. Complex IV pumps 2 protons.